Target or Iris lesion seen in
1. Urticaria
2. Erythema mutiformae
3. Scabies
4. Lichen Planus

Correct answer: 2. Erythema mutiformae

Explanation: B. i.e. Erythema multiformae